Regarding Coitus interruptus, Which of the following is a false statement ?
1. Discharge of semen outside the female genitalia at the end of intercourse
2. Inexpensive
3. Can be used by men with history of premature ejaculation.
4. Very high faliure rate

Correct answer: 3. Can be used by men with history of premature ejaculation.

Explanation: Withdrawal method or coitus interruptus means the discharge of semen outside the female genitalia at the end of intercourse. Premature ejaculation is the only contraindication. The advantages of the withdrawal method are that it Involves no expense Needs no medical supervision Requires no prior preparation Causes no definite side effects The main drawback: Isthe lack of full sexual satisfaction and the relatively higher failure rate.